All the following muscles are attached to the posterior part of lateral surface of mastoid process except
1. Posterior belly of Digastric muscle
2. Sternocleidomastoid
3. Splenius capitus
4. Longissimus capitis

Correct answer: 1. Posterior belly of Digastric muscle

Explanation: The sternocleidomastoid, splenius capitis, and longissimus capitis are inserted in that order from before backwards on the posterior part of the lateral surface of the mastoid processPosterior belly of digastric arises from the mastoid notch.Reference: Chourasia; 6th edition; 13th page